Which of the following statements about erythropoietin is FALSE ?
1. It is used for the treatment of anemia due to chronic renal failure
2. It results in decrease in reticulocyte count
3. It decrease the requirement of blood transfusions
4. It can cause hypertension

Correct answer: 2. It results in decrease in reticulocyte count

Explanation: Ans. is 'b' i.e., It results in decrease in reticulocyte count The primary use of epoetin (recombinant human erythropoietin) is anemia of chronic renal failure. o Other uses --> anemia in AIDS patients treated with zidovudin, cancer chemotherapy induced anemia, and preoperative increased blood production for autologous transfusion during surgery. "The most common adverse effects of erythropoietin are hypertension and thrombotic complications". o It acts on erythroid marrow and ? Stimulates proliferation of colony forming cells of the erythroid series. Induces hemoglobin formation and erythroblast maturation. Releases reticulocytes in circulation --> increased reticulocyte count.